Liquefactive necrosis occurs in
1. Lung
2. Brain
3. Liver
4. Spleen

Correct answer: 2. Brain

Explanation: i.e. (Brain): (45-Harsh mohan 6th) (15-129- Robbins & Cotran 8th)LIQUEFACTIVE (COLLIQUATIVE) NECROSIS - occurs commonly due to ischaemic injury and bacterial or fungal infections* It occurs due to degradation of tissue by the action of powerful hydrolytic enzyme.* Common examples are Infarct brain and abscess cavity* Duret hemorrhage is seen in Brain** (Duret haemorrhage is small area in bleeding in ventral & paramedian part of upper brain stem (midbrain & pons)